Which complex of ETC reacts directly with O2?
1. I
2. II
3. III
4. IV

Correct answer: 4. IV

Explanation: Complex IV: Cyt-c Oxidase The system functions: * As proton pump * Catalyses transfer of electrons to molecular O2 to form H2O. This is the terminal component of ETC. It catalyses the transfer of electrons from Cyt-c to molecular O2 Cyt-a, Cu++ ions and Cyt-a3.Ref: MN Chatterjea Textbook of Medical Biochemistry, 8th edition, page no: 142